Pulmonary Compliance is decreased in all of the following conditions, except:
1. Pulmonary Congestion
2. COPD
3. Decreased Surfactant
4. Pulmonary Fibrosis

Correct answer: 2. COPD

Explanation: In COPD, compliance is increased and the pressure volume curve is shifted upward and to the left. In a highly compliant lung, as in emphysema, the elastic tissue has been damaged, usually due to their being overstretched by chronic overinflation. Patients with emphysema have a very high lung compliance due to the poor elastic recoil, they have no problem inflating the lungs but have extreme difficulty exhaling air. In this condition extra work is required to get air out of the lungs. Ref: Review of Medical Physiology by William ganong, 22nd edn/page 654